White gold alloy is:
1. Gold with aluminum.
2. Gold with silver.
3. Gold with palladium.
4. Gold with calcium.

Correct answer: 3. Gold with palladium.